Which of the following disease is seen confined mostly to females?
1. Autism
2. Retts disease
3. Aspergers disease
4. Collards disease

Correct answer: 2. Retts disease

Explanation: Retts disease